Embryonic period is upto
1. 8 weeks
2. 10 weeks
3. 12 weeks
4. 6 weeks

Correct answer: 1. 8 weeks

Explanation: Embryo refers to the product of conception from the day of fertilization to 8 weeks Prenatal period Ovum- 0-2 wks Embryo- 3-8wks Foetus- 9wks - birth Postnatal period Newborn- first 4wks after birth Infant- Birth to 12months Toddler- 1yr to 36 months Preschool child- 37 to 72 months School age child- 73 months to 12yrs Adolescence Early- 10-13 yrs Middle- 14-16 yrs Late- 17-20yrs Ref: Ghai, 9th edition, Chapter 2, Table 2.1